Minimum time period to diagnose depression with daily manifestation is?
1. 1 weeks
2. 2 weeks
3. 4 weeks
4. 8 weeks

Correct answer: 2. 2 weeks

Explanation: Ans. (b) 2 weeks(Ref. Kaplan and sadock's synopsis of psychiatry: behavioral sciences/Clinical psychiatry, 10/e, American psychiatric Association, Diagnostic and statistical menual of mental disorders, 4/e